Occupational exposure which is yet NOT confirmed on causing a lung problem:
1. Nickel
2. Chromium
3. Lead
4. Arsenic

Correct answer: 3. Lead

Explanation: Ans. C i.e. Lead